Torsion of ovary is most commonly seen in -
1. Dermoid cyst
2. Granulosa celltumour
3. Dysgerminoma
4. Yolk sactumour

Correct answer: 1. Dermoid cyst

Explanation: Ans. is 'a' i.e., Dermoid cyst "The most common are the epithelial cell tumours forming 80% fo all tumours. 80% are benign and 20% are malignant tumours. Of all the malignant tumours 90% are epithelial in origin, 80% are primary in the ovary and 20 % are secondary from breasts, git and colon."o Most common ovarian tumour (over all) - Epithelial cell tumouro iMost common tumour in young women - Germ cell tumour - Shaw 15th/e, p376o Most common malignant tumour of the ovary - Serous cvstadenocarcinomao Most common benign tumour of the ovary (over all) - Dermoid cyst - Williams Gynae 1/e, p214o Most common benign epithelial tumour of the ovary - Serous cystadenoma - Jeffcoate 7/e, p531o Most common germ cell tumour of the ovary - Mature teratoma (Dermoid cyst)o Most common malignant germ cell tumour of the ovary - Dysgerminomao Most common ovarian tumour in pregnancy (remains undiagnosed) - Serous cystadenomao Most common benign tumour diagnosed in pregnancy - Dermoid cysto Most common tumour diagnosed in pregnancy over all - Dermoid cysto Most common malignant tumour diagnosed in pregnancy - Dysgerminomao Most common ovarian tumour to undergo torsion in pregnancy - Dermoid cysto Most common tumour to involve opposite ovary by metastasis - Granulosa cell tumouro Most radiosensitive ovarian tumour - Dysgerminoma - Bailey and Love 24th/e, p221o Most rapidly growing ovarian tumour - Yolk sac tumouro Most common connective tissue tumour - fibroma